Pain is carried by which nerve fibers-
1. Aa, Ab
2. Aa, Ag
3. Ad, C
4. Ag, C

Correct answer: 3. Ad, C

Explanation: Ans. is 'c' i.e., Ad, C o Type A fibers# A a - Proprioception, somatic motor (extrafusal fibers of muscle spindle).# A b - Touch, pressure, kinesthetic# A g - Motor to intrafusal fibers of muscle spindle# Ad - Pain, temperature, touch, pressureo Type B fibers - Preganglionic autonomico Type C fibers - Pain, temperature, Postganglionic autonomic (mainly sympathetic)